Diabetic mother will have the following complications in foetus EXCEPT:
1. Hydramnios
2. Macrosomia
3. Cardiac anomaly
4. Dimorphic anemia

Correct answer: 4. Dimorphic anemia

Explanation: Ans. D i.e. Dimorphic anemia